Which is the most common syndrome associated with focal seizures with dyscognitive features in adults?
1. Lennox Gastaut syndrome
2. Mesial temporal lobe epilepsy
3. Rolandic epilepsy
4. Epilepsia Partialis Continua

Correct answer: 2. Mesial temporal lobe epilepsy

Explanation: M/C syndrome associated with focal seizures with dyscognitive features is Mesial temporal lobe epilepsy. * Febrile convulsion * Focal seizures with impaired awareness "Automatism" * EEG - Temporal (U/L or B/L) spikes *MRI - Hippocampal sclerosis * Lennox Gastaut syndrome is seen in children and presents with multiple seizure type. Benign Rolandic epilepsy MC epilepsy in children Focal seizures Peak age of onset: 2-13 yr If a focal seizure continues for hours/days it is known as Epilepsia Partialis Continua.